Mycosis fungoides which is not true:
1. It is the most common form of cutaneous lymphoma.
2. Pautriers microabscess.
3. Indolent course and easily amenable to treatment.
4. Erythroderma seen and spreads to peripheral.

Correct answer: 3. Indolent course and easily amenable to treatment.

Explanation: Mycosis Fungoides:
Mycosis fungoides is synonymous with Cutaneous T cell lymphoma.